DSM IV criteria for depression is
1. 1 week
2. 2 weeks
3. 3 weeks
4. 4 weeks

Correct answer: 2. 2 weeks

Explanation: DURATION CRITERIA FOR DEPRESSION======14 DAYS DURATION CRITERIA FOR MANIA==========7 DAYS DURATION CRITERIA FOR HYPOMANIA======4 DAYS DURATION CRITERIA FOR DYSTHYMIA======2 YEARS DSM-IV-TR Criteria for Major Depressive Episode A. Atleast 1 symptom B.5 or more symptoms i)depressed mood ii)loss of interest or pleasure depressed mood markedly diminished interest/pleasure significant weight loss/ weight gain. insomnia or hypersomnia psychomotor agitation or retardation fatigue or loss of energy worthlessness or inappropriate guilt inability to think or concentrate recurrent thoughts of death , suicidal idea, suicide attempt A+B have been present during the same 2-week period and represent a change from previous functioning. Reference: p.535 chap 15.1 Depression and Bipolar Disorder